The principle of Pearson's formula is to measure the length of long bone and multiply it with a given factor; for radius such factor is:
1. 3.6 to 3.8
2. 4.2 to 4.5
3. 6.3 to 6.9
4. 5.0 to 5.3

Correct answer: 3. 6.3 to 6.9

Explanation: Ans. 6.3 to 6.9